Which of the following is not Pre-malignant:
1. FAP
2. PZ syndrome
3. Juvenile polyp
4. Juvenile polyp syndrome

Correct answer: 3. Juvenile polyp

Explanation: Juvenile polyp